Helicobacter pylori is not associated with:
1. Gastrointestinal lymphoma
2. Gastric cancer
3. Gastric leiomyoma
4. Peptic ulcer

Correct answer: 3. Gastric leiomyoma

Explanation: Ans. is 'c' i.e., Gastric leiomyomaGastric leiomyoma is the most common benign tumour of the stomach occurring in middle age. Most leiomyomas of stomach are asymptomatic but ulceration may cause pain and signs of gastrointestinal bleeding and causative agent is not H. pylori.